Which of the following statement is not true regarding dobutamine ?
1. Agonist of D1 and D2 receptors
2. Derivative of dopamine
3. Selective beta-agonistic action
4. Reduced chances of arrhythmia than adrenaline

Correct answer: 1. Agonist of D1 and D2 receptors